In CO poisoning, immediate emergency treatment:
1. 5% CO2 inhalation
2. 10% CO2 inhalation
3. High flow O2
4. Nitroglycerine

Correct answer: 3. High flow O2

Explanation: Ans. High flow O2